Drug used for reducing sex drive in sexual offenders
1. Penfluridol
2. Trifluperidol
3. Benperidol
4. Molindone

Correct answer: 3. Benperidol

Explanation: Drug therapy: Antipsychotics have sometimes been used for severe or dangerous aggression associated with paraphilias. Benperidol was earlier believed to be particularly useful but the claim has not been substantiated, and the drug is not available in the market. Antiandrogens (cyproterone acetate or medroxyprogesterone acetate) can be used in paraphilias with excessive sexual activity.